Caudate lobe of liver is
1. I
2. III
3. IV
4. VI

Correct answer: 1. I

Explanation: The caudate lobe of the liver is bounded below, by the porta hepatis; on the right, by the fossa for the inferior vena cava; and, on the left, by the fossa for the ductus venosus and the physiological division of the liver called the ligamentum venosum. It looks backward, being nearly vertical in position; it is longer from above downward than from side to side and is somewhat concave in the transverse direction. ref - BDC 6e vol2 pg304-307